A 60-year-old, chronic smoker presented with gradual and slowly progressive shortness of breath for 5 months along with dry cough along with malaise and fatigue. There was no history of haemoptysis, chest pain or occupational exposure. Chest x-ray, HRCT chest were done. Lung Biopsy was planned. Which of the following drug has been recently approved for the above condition: -
1. Nintedanib
2. Sorafenib
3. Sunitinib
4. Erlotinib

Correct answer: 1. Nintedanib

Explanation: This is a case of idiopathic pulmonary fibrosis. Sorafenibis a kinase inhibitor drug approved for: - Primary kidney cancer (advanced renal cell carcinoma) Advanced primary liver cancer (hepatocellular carcinoma) Sunitinib is an oral, multi-targeted receptor tyrosine kinase (K) inhibitor that was approved by the FDA for the treatment of renal cell carcinoma (RCC) and imatinib-resistant gastrointestinal stromal tumor (GIST). Erlotinib is a type of targeted cancer drug, and a treatment for non-small cell lung cancer (NSCLC) that has spread (advanced) advanced pancreatic cancer - alongside the chemotherapy drug gemcitabine. Chest x-ray demonstrates extensive increase in interstitial markings with distortion of the underlying parenchymal architecture. CT image shows all patterns typical of idiopathic pulmonary fibrosis: Reticular abnormality characterized by areas of small linear opacity Honeycombing Traction bronchiectasis Mosaic pattern HPE image shows the hallmark which is patchy interstitial fibrosis Pirfenidone and Nintedanib can slow decline of lung function in IPF patients.